Which of the following is derived from CFU-E?
1. Red blood cell
2. Lymphocyte
3. Platelet
4. Neutrophil

Correct answer: 1. Red blood cell

Explanation: - Red blood cells are derived from CFU-E - GM-CFU - gives granulocytes & monocytes - Lymphoid stem cells - gives B cells, T cells, NK cells